A 40-years-old female patient presented with recurrent headaches. MRI showd an extra-aixal, dural based and enhancing lesion. The most likely diagnosis is:
1. Meningioma
2. Glioma
3. Schwannoma
4. Pituitary adenoma

Correct answer: 1. Meningioma

Explanation: Ans. is 'a' i.e. Meningioma Except glioma all three i.e. Meningioma, Schwannoma and Pituitary adenoma' are extra-axial tumors.Of these only meningioma is the 'dural based' lesion as it arises from the meninges.